Water-hammer pulse is seen in?
1. Mitral stenosis
2. Aortic regurgitation
3. Aortic stenosis
4. Pulmonary stenosis

Correct answer: 2. Aortic regurgitation

Explanation: Corrigan's pulse /Water hammer pulse/Collapsing pulse | According to Frank Starling law, as end diastolic volume of LV increases, the force of contraction of LV increases. Seen on arm elevation above level of head. Collapsing pulse/Watson's water hammer pulse: Pulse is a bounding, forceful pulse with a rapid upstroke and descent. It is seen in the following situations: Physiological Fever Pregnancy Cardiac lesions Aortic regurgitation Patent ductus arteriosus Systolic hypertension Bradycardia Aortopulmonary window Aneurysm of sinus of Valsalva High-output states Anemia Cor pulmonale Cirrhosis of liver Beriberi Thyrotoxicosis Arteriovenous fistula Paget's disease Other causes Chronic alcoholism